During autopsy, if spinal cord is to be examined what is the most commonly used approach:
1. Anterior
2. Posterior
3. Lateral
4. Antero-lateral

Correct answer: 2. Posterior

Explanation: B ie Posterior For spinal cord autopsy examination body is placed prone on table and incision is made on the back in midline extending from, occipital protuberance to the lower end of sacrum, (posterior approch)Q - Reddy Autopsy of spinal cord can be done either from posterior (most common)Q or anterior approach. High cervical spine injuries are best seen by posterior, and thoracic spine by anterior approch. - Parikh